Which of the following is non-motile:
1. Pseudomonas aeruginosa
2. Burkholderia mallei
3. Burkholderia pseudomallei
4. None of the above

Correct answer: 2. Burkholderia mallei

Explanation: Ans. is. 'b' i. e., Burkholderia mallei